Which of the following post is most difficult to bond in the root canal:
1. Zirconia ceramic post.
2. Carbon fiber reinforced post.
3. Polyethylene fiber reinforced post.
4. Glass fiber reinforced post.

Correct answer: 1. Zirconia ceramic post.

Explanation: It is because zirconia cannot be etched.